Anti-Mullerian hormone in female is made from:
1. Corpus luteum
2. Theca cells
3. Granulosa cells
4. Corona radiate

Correct answer: 3. Granulosa cells

Explanation: Anti-Mullerian hormone is made from ovary specifically from granulosa cells which increases estrogen production, AMH normal value is 2 - 6 ng/ml, AMH levels are a direct marker of ovarian function and thus important with respect to precocious and delayed puberty, infertility and premature menopause. Mainly used in the study of ovarian reserve in an Infertile woman and a woman with secondary amenorrhoea.